Back washing is a recommended technique for
1. Rapid Sand Filter
2. Slow Sand Filter
3. Community Well
4. Domestic Filter

Correct answer: 1. Rapid Sand Filter